Objectives of ANC include all except -
1. To attend to the under-fives accompanying the mother
2. To reduce maternal mortality
3. Discouraging temporary contraception
4. To identify high risk cases

Correct answer: 3. Discouraging temporary contraception

Explanation: parks textbook of preventive and social medicine 23rd edition *objectives of atenatal care are:(1)to promote protect and maintain the health of the mother during pregnancy.(2)to detect high risk cases and give thembspecial attention.(3)to foresee complications and pevent them.(4)to remove anxiety and dread associated with delivery.(5)to reduce maternal and infant mortality and morbidity.(6)to teach the mother elements of child care,nutrition,personal hygiene and enviornment sanitation.(7)to sensitise the mother to the need for family planning including advice to cases seeking, termination of pregnancy .(8)to attend to the under five accompaning the mother.